Which one of the following bacteria is classified as facultative anaerobe ?
1. Pseudomonas
2. Bacteroides
3. Escherichia
4. Clostridia

Correct answer: 3. Escherichia